Acetyl COA is produced from which fuel sources
1. Carbohydrate
2. Lipid
3. Amino acids
4. All of the above

Correct answer: 4. All of the above